A 31 year old female patient complaints of bilateral impairment of hearing for the past 5 years. On examination, tympanic membrane is normal and audiogram shows a bilateral conductive deafness. Impedance audiometry shows normal curve and acoustic reflexes are absent. All of the following constitute part of its treatment, EXCEPT:
1. Gentamicin
2. Hearing aid
3. Stapedectomy
4. Sodium fluoride

Correct answer: 1. Gentamicin

Explanation: The patient is showing features of otosclerosis. It is a condition due to new spongy bone formation. About 50% of the cases may have a positive family history and deafness starts between the age of 20-30 years. Non surgical treatment of otosclerosis includes use of hearing aid and sodium fluoride. Use of high doses of sodium fluoride is thought to increase the remineralization of otospongotic foci. It has been reported to stabilize progressive inner ear hearing loss and tinnitus. Surgical treatment of choice is stapedectomy.